Which of the following virus produces punched out ulcer in the esophagus and biopsy demonstrate multinucleated epithelial cells with intranuclear inclusions at the margin of ulcer?
1. Cytomegalovirus (CMV)
2. Herpes simplex virus (HSV)
3. Adenovirus
4. Coxasackie virus

Correct answer: 2. Herpes simplex virus (HSV)

Explanation: Various ulcers: Virus Herpes simplex virus Cytomegalovirus (CMV) Endoscopy Punched-out ulcers Shallow ulcerations Biopsy Diagnostic Cowdry A inclusions and multinucleated cells with nuclear molding and ground glass nuclei within a rim of degenerating epithelial cells at the margin of the ulcer. Cytomegalic cells, typically 2-4 fold larger than normal, containing basophilic cytoplasmic & intranuclear inclusion bodies surrounded by a clear halo, giving the appearance of an owl's eye within capillary endothelium & stromal cells Microscopic